Ferruginous bodies are seen in:
1. Silicosis
2. Byssinosis
3. Asbestosis
4. Bagassosis

Correct answer: 3. Asbestosis

Explanation: Inorganic paicals may become coated with iron protein complexes and are called ferruginous bodies. Asbestosis in its classical form is a diffuse fibrotic disease of the lung tissue.typically the fibrotic changes of asbestosis are focal and are most prominent in the lower lung lobes.The presence of asbestosis bodies in or adjacent to the walls of fibrotic respiratory bronchioles is the hallmark of the disease.A characteristic of asbestos bodies is a core of asbestos coated by ferroprotein.(ref Robbins 8th/700,9/e p691)